All of these are used in the treatment of visceral leishmaniasis except :
1. Sitamaquine
2. Paromomycin
3. Miltefosine
4. Hydroxychloroquine

Correct answer: 4. Hydroxychloroquine